Gamma gandy bodies are seen in
1. Liver
2. Spleen
3. Kidney
4. Lung

Correct answer: 2. Spleen